The term ordered hardening heat treatment used in which of the following dental alloys?
1. Gold-Copper
2. Nickel-Chromium
3. Nickel-Titanium
4. Silver-Palladium

Correct answer: 1. Gold-Copper